Stored plasma is deficient in ?
1. Factors 7 and 8
2. Factors 2 and 5
3. Factors 5 and 8
4. Factors 7 and 9

Correct answer: 3. Factors 5 and 8

Explanation: Ans. is 'c' i.e., Factors 5 and 8